The intermediate host for T. Saginata is:
1. Man
2. Cow
3. Dog
4. Pig

Correct answer: 2. Cow

Explanation: Cow